Diethyltoluamide is an effective
1. Larvicidal
2. Agent againts pupae of anophales
3. Repellent
4. Space spray

Correct answer: 3. Repellent

Explanation: Diethyl toluimide /deetis an all purpose repellant.
They are used for application on skin, and their chief advantage is short duration of protection.Repellant are contact poisons. 
They are used as peraonal protective measure against mosquito bite.
Other neasure are using mosquito nets and screening. 
Parks textbook of preventive and social medicine.K Park